Motile spermatozoa found in wet mount of vaginal secretions are indicative of intercourse within the past:
1. 6 h
2. 12 h
3. 24 h
4. 48 h

Correct answer: 2. 12 h

Explanation: Ans. 12 h